Vitreous humor of eye contains collagen type:
1. Colagen I
2. Collagen II
3. Collagen III
4. Collagen IV

Correct answer: 2. Collagen II

Explanation: Collagen II